Which is not an intermediate filament?
1. Desmin
2. Vimentin
3. Tubulin
4. Keratin

Correct answer: 3. Tubulin

Explanation: Intermediate filaments - resist external pressure cell type specific: used as cellular markers Types Nuclear(Lamin-A,B,C) Vimentin like (Vimentin, desmin, GFAP, peripherin) Epithelial(Types 1,2 keratin) Axonal( Neurofilament proteins- NF-L,M,H)